Which of the following cranial nerve does not contain parasympathetic motor (GVE) fibers?
1. III
2. VI
3. IX
4. X

Correct answer: 2. VI

Explanation: - Parasympathetic cranial nerves

3, 7, 9, 10

- Parasympathetic Sacral nerves

S2, S3, S4